Most common site of hypertensive intraparenchymal hemorrhage in brain:
1. Pons
2. Thalamus
3. Putamen
4. Cerebellum

Correct answer: 3. Putamen

Explanation: Ans. C i.e. Putamen Sites of intracerebral hemorrhage includes putamen (55%), thalamus (20-3-%), cerebrllum (10%), pons (5-7%) and subcortical white matter (10-15%)